Energy selection in CPR according to AHA 2010 guideline is/are:
1. Monophasic 120-200J, Biphasic 360 J
2. Monophasic 200 J, Biphasic 360J
3. Monophasic 120 J, Biphasic 200J
4. Monophasic 360 J, Biphasic 120-200 J

Correct answer: 4. Monophasic 360 J, Biphasic 120-200 J

Explanation: Answer- (D) Monophasic 360 J, Biphasic 120-200 J2010 AIIA guideline for CPR Contrary to previous recommendation of 3 succesive shocks (200, 300, 360J) nowadays lst & all subsequent shocks are of 360 Joules with monophasic & 120-200 loules with biphasic.